True about National Rural Health Mission?
1. Provision of adequate Nurse & paramedical staff
2. Inclusion of Indian system of medicine
3. Posting of anesthetist in first referral unit/CHC
4. All

Correct answer: 4. All

Explanation: Ans. is 'All' o "It aims at mainstreaming the Indian systems ofmedicine to facilitate health care". Supply ofgeneric drugs (both AYUSH & Allopathic) for common ailments at village. SC, PHC/CHC level. o A key strategy of the Mission is : Operational izing 4276 existing Community Health Centres (30-50 beds) as 24 Hour First Referral Units, includingposting of anaesthetists. - Park 21s1/406. 'Initial & periodic training ofparamedics in treatment of minor ailments at PHC" - Park 21 st1842. a The revised PHS staff pattern at CI IC : a) Staffnurse& Public health nurse (19+1) (Previously Nurse-midwife: 7+2). b) More specialist including Anesthetist, eye surgeon, dental surgeon, AYUSH specialist etc.